Denominator in negative predictive value ?
1. True positive + false positive
2. False negative + true positive
3. True negative + false positive
4. True negative + false negative

Correct answer: 4. True negative + false negative

Explanation: Ans. is 'd' i.e., True negative + false negative